The predominant cell after 72 hours of myocardial infarction-
1. Neutrophile
2. Lymphocytes
3. Macrophages
4. Mast cells

Correct answer: 3. Macrophages

Explanation: Acute inflammatory> reaction with a predominance of Neutrophils is seen upto 2-3 days.
After 3 days (Le. after 72 hours Macrophages become the predominant cell type and become involved in the removal of necrotic debris.
In myocardial infarction.
Neutrophils appear at → 12-24 hrs.
Granulation tissue appear at → 6-10 days
The beginning of fibrosis and → 7-14 days
organization of granulation tissue
Development of fibrous scar (hearing) → 2-6 weeks